Anaesthesia given to dog:
1. Ketamine
2. Medetomidine hydrochloride
3. Midazolam
4. All of the above

Correct answer: 4. All of the above

Explanation: Any i/m injectable drug which we are using in human can be used in canines as well Ketamine Used in asthmatics as very good bronchodilator Induces dissociative anesthesia Acts mainly by inhibiting NMDA receptors in brain Highly lipid soluble Midazolam Extreme rapid absorption (peak in 20min.) Cause problems In elderly (ataxia) More liable for abuse, therefore it is not available now for oral use as a hypnotic Used as an i/m premedicant or i/v anesthetic